Radioisotope of choice for Triple phase Bone scan?
1. Tc99m-Sestamibi
2. Tc99m-Pertectinate
3. Tc99m-Methyl diphosphonate
4. Tc99m-Thallium201 subtraction

Correct answer: 3. Tc99m-Methyl diphosphonate

Explanation: Ans. C. Tc99m-Methyl diphosphonatea. Tc99m-Sestamibi: Parathyroid scanb. Tc99m-Pertectinate: Meckel's diverticulum, Salivary gland scintigraphy and Thyroid scan.c. Tc99m-Methyl diphosphonate: Bone scand. Tc99m-Thallium201 subtraction: Second choice for detecting parathyroid adenomas.